Which of the following extrapyramidal effect is seen on chronic use of antipsychotic ?
1. Dystonia
2. Akathisia
3. Tardive dyskinesia
4. Parkinsonism

Correct answer: 3. Tardive dyskinesia

Explanation: Ans. is `c' i.e., Tardive dyskinesia